Type A (augmented) adverse drug reactions are characterized by all EXCEPT:
1. Qualitatively abnormal responses to the drug
2. Predictable from the drug's known pharmacological or toxicological effects
3. Generally dose-dependent
4. Usually common

Correct answer: 1. Qualitatively abnormal responses to the drug

Explanation: Predictable (Type A or Augmented) reactions - quantitatively responses- includes side effects, toxic effects and consequences of drug withdrawal. They are more common, dose-dependent and mostly preventable and reversible. Ref ; KD Tripathi pharmacology 7 th edition (page no; 82)